Innumerable, small, normoesthetic and symmetrical skin lesions are present in which type of leprosy:
1. Borderline lepromatous
2. Lepromatous
3. Borderline tubeculoid
4. Tuberculoid

Correct answer: 2. Lepromatous

Explanation: Ans. B: Lepromatous Tuberculoid (TT) - Can be either one large red patch with well-defined raised borders or a large hypopigmented asymmetrical spot - Lesions become dry and hairless - Loss of sensation may occur at site of some lesions - Tender, thickened nerves with subsequent loss of function are common - Spontaneous resolution may occur in a few years or it may progress to borderline or rarely Borderline tuberculoid (BT) - Similar to tuberculoid type except that lesions are smaller and more numerous - Normoesthetic and symmetrical lesions - Disease may stay in this stage or convert back to tuberculoid form, or progress Borderline borderline (BB) - Numerous, red, irregularly shaped plaques - Sensory loss is moderate - Disease may stay in this stage, improve or worsen - Asymmetrical thickening of several nerves. - Lesions looking like inverted saucers are common Borderline lepromatous (BL) - Numerous lesions of all kinds, plaques, macules, papules and nodules. - Hypoesthetic - Symmetrical nerve thickening; glove and stocking anesthesia Lepromatous (LL) - Early nerve involvement may go unnoticed - Normoesthetic, small, symmetrical and numerous lesions of all kinds, plaques, macules, papules and nodules - Early symptoms include nasal stuffiness, discharge and bleeding, and swelling of the legs and ankles - Left untreated, the following problems may occur: Skin thickens over forehead (leonine facies), eyebrows and eyelashes are lost, nose becomes misshapen or collapses, ear lobes thicken, upper incisor teeth fall out Eye involvement causing photophobia (light sensitivity), glaucoma and blindness Skin on legs thickens and forms ulcers when nodules break down Testicles shrivel causing sterility and enlarged breasts (males) Internal organ infection causing enlarged liver and lymph nodes Voice becomes hoarse due to involvement of the larynx Slow scarring of peripheral nerves resulting in nerve thickening and sensory loss. Fingers and toes become deformed due to painless repeated trauma.